Which among the following is NOT a feature of fetal alcohol syndrome?
1. Microcephaly
2. Low intelligence
3. Large proportionate body
4. Septal defects of heart

Correct answer: 3. Large proportionate body

Explanation: The diagnosis of Fetal alcohol syndrome (FAS) typically is based on the observance of a triad of abnormalities in the newborn, including: A cluster of craniofacial abnormalities CNS dysfunction Pre- and/or postnatal stunting of growth Craniofacial abnormalities commonly observed in the diagnosis of FAS consist of a pattern of microcephaly, a long and smooth philtrum, shortened palpebral fissures, a flat midface, and epicanthal folds. CNS dysfunction following in utero exposure to alcohol manifests in the form of hyperactivity, attention deficits, intellectual disability, and learning disabilities. ASDs and VSDs are most common. Ref: Schuckit M.A. (2011). Chapter 23. Ethanol and Methanol. In L.L. Brunton, B.A. Chabner, B.C. Knollmann (Eds), Goodman & Gilman's The Pharmacological Basis of Therapeutics, 12e.